Antibiotic that can be used as  antiplaque agent is/are:
1. Penicillin.
2. Vancomycin.
3. Kanamycin.
4. All of the above.

Correct answer: 4. All of the above.

Explanation: Penicillin, vanomycin, kanamycin have been used as antiplaue agents but their use has been considerably reduced due to bacterial resistance and hypersensitivity reactions.